Posada's fracture is
1. Trascondylar fracture of humerus
2. Fracture lateral condyle of humerus
3. Fracture medial condyle of humerus
4. Fracture anatomical neck of humerus

Correct answer: 1. Trascondylar fracture of humerus

Explanation: Posada's fracture Transcondylar humeral fracture with displacement of the distal fragment anteriorly and dislocation of the radius and ulna from the bicondylar fragment.Posada's fracture Transcondylar humeral fracture with displacement of the distal fragment anteriorly and dislocation of the radius and ulna from the bicondylar fragment.(Refer: Kenneth Koval's Handbook of fracture, 5th edition)